Therapeutic exposure is a form of -
1. Behavior therapy
2. Psychoanalysis
3. Cognitive therapy
4. Supportive therapy

Correct answer: 1. Behavior therapy

Explanation: Therapeutic - graded exposure is a form of behavioral therapy.